Fastest acting drug in leprosy is :
1. Rifampicin
2. Dapsone
3. Clofazimine
4. Ethionamide

Correct answer: 1. Rifampicin

Explanation: Ans. is 'a' Rifampicin. Harrison says "Rifampicin is the most active agent for leprosy"